Most common cause of nephrotic range proteinuria in an adult is -
1. Diabetes Mellitus
2. Amyloidosis
3. Hypertensive nephropathy
4. Wegner's Granulomatosis

Correct answer: 1. Diabetes Mellitus